Adverse effects of valproic acid derivatives include the following except -
1. Alopecia
2. Liver failure
3. Weight gain
4. Osteomalacia

Correct answer: 4. Osteomalacia

Explanation: Ans. is 'd' i.e., Osteomalacia Adverse effect of Valproate Neurological - Ataxia, sedation,tremor Systemic- Hepatotoxicity, thromobocytopenia,GI irritation, weight gain, transient alopecia, hyperammonemia, pancreatitis,coagulation disorder